Which part of the male urethra is the widest and most distensible?
1. Prostatic
2. Membranous
3. Bulbous
4. Penile

Correct answer: 1. Prostatic

Explanation: Most distensible is Prostatic Least dilatable is Membranous